The preganglionic parasympathetic fibres to the parotid gland travel in -
1. Lesser petrosal nerve
2. Greater petrosal nerve
3. Deep petrosal nerve
4. Internal carotid nerve

Correct answer: 1. Lesser petrosal nerve

Explanation: Preganglionic fibers → Inferior salivary nucleus, IX nerve, tympanic branch, tympanic plexus, lesser petrosal nerve.
Ganglion → Otic ganglion.
Postganglionic fibers → Auriculotemporal nerve.